True regarding Kaposi's sarcoma?
1. Can occur even when CD4 is normal
2. HHV 8 is etiological agent
3. Koebner's phenomenon may be observed with it
4. All are true

Correct answer: 4. All are true

Explanation: Ans. d (All are true) (Ref. Harrison 18th/ p 695)KAPOSI'S SARCOMA# Human herpes virus type 8 is believed to be the cause of most cases of Kaposi's sarcoma.# There are at least four distinct epidemiologic forms of KS:- The classic form that occurs in older men of predominantly Mediterranean or eastern European Jewish backgrounds with no recognized contributing factors;- the equatorial African form that occurs in all ages, also without any recognized precipitating factors;- the form associated with organ transplantation and its attendent iatrogenic immunosuppressed state; and- the form associated with HIV-1 infection.# The Koebner phenomenon has been reported to develop in classic or acquired immune deficiency syndrome-related Kaposi's sarcoma.Educational points:Table: Few Important Virus Induced DiseasesGenital and anal wartsHPV (30 genital types)Mononucleosis syndromeCMV, HIV, EBVHepatitisHepatitis viruses, T pallidum, CMV, EBVSquamous cell dysplasias and cancers of the cervix, anus, vulva, vagina, or penisHPV (especially types 16, 18, 31, 45)T cell leukemiaHTLV-IHepatocellular carcinomaHBVTropical spastic paraparesisHTLV-IB cell lymphoproliferative disease and Oral hairy leukoplakia (rare)Epstein-Barr virusKaposi's sarcoma, body-cavity lymphomas, Primary effusion lymphoma (rare), Multicentric Castleman's disease (rare)Human herpesvirus type 8 (HHV-8).